Which immunoglobulin is scarce in human serum
1. IgA
2. IgG
3. IgM
4. IgE

Correct answer: 4. IgE

Explanation: Antibody with least serum concentration IgE(0.0004)